Deep palmar arch, TRUE is
1. Gives three digital arteries
2. Lies at proximal palmar crease
3. Lies behind lumbricals
4. All

Correct answer: 3. Lies behind lumbricals

Explanation: C. i.e. Lies behind lumbricalsSuperficial palmar arch is direct continuation of ulnar artery & deep palmar arch is direct continuation of radial artery.